Dying declaration comes under:
1. Sec. 30 CrPC
2. Sec. 32 IEA
3. Sec. 32 IPC
4. Sec. 61 CrPC

Correct answer: 2. Sec. 32 IEA

Explanation: Ans. Sec. 32 IEA